Radial bursa is the synovial sheath covering the tendon of ?
1. FDS
2. FDP
3. FPL
4. FCR

Correct answer: 3. FPL

Explanation: Ans. is 'c' i.e., FPL